The most common presentation of a child with Wilms' tumor is:
1. As asymptomatic abdominal mass
2. Hematuria
3. Hypertension
4. Hemoptysis due to pulmonary secondary

Correct answer: 1. As asymptomatic abdominal mass

Explanation: a. As asymptomatic abdominal mass(Ref: Nelson's 20/e p 2466)Most common initial clinical presentation for WT is incidental discovery of an asymptomatic abdominal mass by parents while bathing or clothing an affected child or by a physician during a routine physical examination;Hypertension is present in 25% of tumors at presentation and has been attributed to increased renin activity.Abdominal pain, gross painless hematuria, and fever are other frequent findings at diagnosis.